Which of the following are the bariatric surgical procedures?
1. Vertical banded gastroplasty
2. Roux-en Y gastric bypass
3. Biliopancreatic diversion
4. All the above

Correct answer: 4. All the above

Explanation: Ans. is 'd' i.e., All the above Bariatric surgical procedures includea) Vertical banded gastroplastyb) Adjustable gastric bandingc) Roux-en Y gastric bypassd) Biliopancreatic diversione) Duodenal switch